Children borne by female at the end of reproductive period is
1. NRR
2. TFR
3. CBR
4. GFR

Correct answer: 2. TFR